Most common malignancy in children is
1. ALL
2. AML
3. Neuroblastoma
4. Wilm's tumor

Correct answer: 1. ALL

Explanation: Leukemia is most common malignancy in the pediatric age groupLeukemia/lymphoma =40% (ALL is more common than AML)CNS Tumor=30%Embryonal & Sarcoma=10%2nd most common is CNS Tumor (30%)(Refer: Nelson's Textbook of Pediatrics, SAE, 1st edition, pg no. 2437-2445)